Deficiency of which of the following vitamins leads to lactic acidosis?
1. Riboflavin
2. Thiamine
3. Niacin
4. Pantothenic acid

Correct answer: 2. Thiamine

Explanation: Thiamine is needed for the conversion of pyruvate to acetyl-CoA. In the absence of thiamine, pyruvate is channeled to lactate leading accumulation of L-lactate.